Which of the following group of antibiotics are used in malaria?
1. Aminoglycosides
2. Tetracyclines
3. Carbapenems
4. Penicillins

Correct answer: 2. Tetracyclines

Explanation: Tetracyclines - doxycycline, and clindamycin are used in malaria.Ref: Sharma and Sharma 2nd e/pg 809